When a person is asked about his blood sugar level, he answers "Diabetics have sweet urine.... Urine and faeces are excreta".......Before finally telling his blood sugar level. It is an example of?
1. Tangentiality
2. Circumstantiality
3. Flight of ideas
4. Loosening of association

Correct answer: 2. Circumstantiality

Explanation: The patient is giving unnecessary information but finally is able to tell the answer. Hence, it is an example of circumstantiality. Circumstantiality is inclusion of lots of unnecessary details and goes round and round before reaching the final goal. In comparison, in tangentiality, the person's response is related to the question in a distant way, and he never reaches the goal. Loosening of assosciation is a formal thought disorder in which there is a lose of connection between component of same thought. Flight of ideas is abnormality of stream of thought in which persons speed of thinking is increased and connection between thoughts appear due to chance factor .